Which among the following is NOT used for surface anaesthesia –
1. Lignocaine
2. Procaine
3. Tetracaine
4. Benzocaine

Correct answer: 2. Procaine